A female presents with significant blood loss du&;>> postpartum haemorrhage (PPH). What would be the shock index (HR/systolic BP)?
1. .7-0.9
2. 0.5-0.7
3. 0.9-1.1
4. 0.1-0.5

Correct answer: 3. 0.9-1.1

Explanation: Shock index = Heart rate/Systolic BP Normal = 0.5-0.7 If it becomes 0.9-1.1 it indicates massive blood loss and need for intensive resuscitation Ref: Fernando Arias 4e pg 391.